''Sleep apnoea '' is defined as a temporary pause in breathing during sleep lasting at least-
1. 40 seconds
2. 30 seconds
3. 20 seconds
4. 10 seconds

Correct answer: 4. 10 seconds

Explanation: Sleep OSAHS also may be diagnosed in the absence of symptoms if the AHI is above 15. Each episode of apnea or hypopnea represents a reduction in breathing for at least 10 sec Ref Harrison 19th edition pg 1723